A 5-year-old woman presents with dry cough and progressive breathlessness of two years duration. Examination reveals clubbing, cyanosis and bibasilar crepts. What is the probable diagnosis
1. Bronchiectasis
2. Lung abscess
3. Interstitial lung disease
4. Pulmonary tuberculosis

Correct answer: 3. Interstitial lung disease